Which of the following is not a function of liver ?
1. Production of albumin
2. Detoxification of ammonia
3. Production of vitamin K
4. Metabolism of drugs

Correct answer: 3. Production of vitamin K

Explanation: Ans. (c) Production of vitamin KRef: Robbin's pathology 9th ed. Z821* Vitamin K is produced by the bacteria of gut and is used by liver for gamma carboxylation of factor 2/7/9/10.# Liver produces albumin which falls in liver cirrhosis producing ascites/edema.# Ammonia is combined with carbon dioxide to produce urea which in turn is excreted by the liver.# The cytochrome P450 is responsible for metabolism of drugs.